Whichof the following is NOT true about the use of Beta blocker in CHF
1. These should be started at very low dose and sowly titrated upwards
2. Carvedilol is most widely used beta blocker
3. These are drug of choice in acute decompensated heart failure.
4. These can reduce mortality in CHF patients

Correct answer: 3. These are drug of choice in acute decompensated heart failure.

Explanation: Ref KDT 6/e p544 Beta blockers are contra-indicated in acute decompensated heart failure.